All pass through deep inguinal ring, EXCEPT?
1. Spermatic cord
2. Internal spermatic fascia
3. Round ligament
4. Ilioinguinal nerve

Correct answer: 4. Ilioinguinal nerve

Explanation: It transmits the spermatic cord in the male and the round ligament of the uterus in the female into the inguinal canal. Internal spermatic fascia is present in the spermatic cord. Ilio inguinal nerve passes only through the superficial inguinal canal and not through deep. Inguinal canal: contains the spermatic cord and the ilioinguinal nerve in the male, and the round ligament of the uterus and the ilioinguinal nerve in the female. It is an oblique canal of about 4 cm. long, slanting downward and medialward, and placed parallel with and a little above the inguinal ligament; it extends from the deep inguinal ring laterally to the superficial inguinal ring medially. Deep inguinal ring: a hole in transversalis fascia lying 3cm superior to the midpoint of the inguinal ligament. Contents: Spermatic cord in males Round ligament in females Ref: Gray's anatomy text book of anatomy BD chaurasia 21st Ed.